All of the following are risk factors for atherosclerosis except :
1. Increased waist - hip ratio
2. Hyperhomocysteinemia
3. Decreased fibrinogen levels
4. Decreased HDL levels

Correct answer: 3. Decreased fibrinogen levels

Explanation: Answer is C (Decreased fibrinogen levels) Increased levels of .fibrinogen (and not decreased fibrinogen levels) are associated with increased risk of atherosclerosis. Fibrinogen Levels 'Fibrinogen levels correlate with coronary risk and provide information regarding coronary risk independent of lipoprotein profile. Elevated fibrinogen levels might promote a thrombotic diathesis'. Waist Hip Ratio : This refers to a characteristic 'male' distribution of adipose tissue i.e. excess of fat in the abdomen compared with that in hips. `An elevated waist/hip ratio has been associated with symptomatic cardiovascular disease and cerebrovascular disease in both men and women. - Pubmed (NCBI - website) Hyperhomocvsteinemia and low HDL levels are known risk factors for Atherosclerosis (as depicted in the following table). Major risk Factors for Atherosclerosis Cigarette smoking Hypertension (BP > 140/90mm/hg) or (on Antihypertensive medication) Low HDL cholesterol Diabetes mellitus Family history of CHD Age (Men > 45 years; Women > 55 years) Life style risk factors Obeity (BMI > 30 kg/m2) Physical inactivity Atherogenic diet Emerging risk factors Lipoprotein (a) Homocystine * Prothrombotic factors (Fibrinogen) Pro inflammatory factors Impaired fasting glucose Subcl inical atherogenesis